True about anaplastic thyroid carcinoma:
1. Common in elderly
2. Well encapsulated
3. Will not invade surrounding structures
4. All

Correct answer: 1. Common in elderly

Explanation: Ans is A (Common in elderly) About option 'e' Schwartz writes: "On gross inspection, anaplastic tumors are firm and whitish in appearance. Microscopically, sheets of cells with marked heterogeneity are seen. Cells may be spindle-shaped, polygonal, or large, multinucleated cells. Foci of more differentiated thyroid tumors, either follicular or papillary, may be seen, suggesting that anaplastic tumors arise from more well-differentiated tumors."